Hatters shake are seen in poisoning with ?
1. Mercury
2. Lead
3. Arsenic
4. Copper

Correct answer: 1. Mercury

Explanation: Hatter's shake or Danbury tremors or glass blower's shake is seen in mercury poisoning.